A 10-year-old boy developed hoarseness of voice following an attack of diphtheria. On examination, his Rt vocal cord was paralyzed. The treatment of choice for paralyzed vocal cord will be-
1. Gel foam injection of right vocal cord
2. Fat injection of right vocal cord
3. Thyroplasty-type-I
4. Wait for spontaneous recovery of vocal cord

Correct answer: 4. Wait for spontaneous recovery of vocal cord

Explanation: Unilateral paralysis of cord due to neuritis (as in diphtheria) does not require any treatment as it recovers spontaneously.
The characteristic features of diphtherial neuropathy are that it recovers completely.
Anyways, in unilateral vocal cord paralysis generally, no treatment is required

(Dhingra 5th/ep. 318).